Exfoliative cytology is useful in -
1. Carcinoma stomach
2. Carcinoma bronchus
3. Carcinoma cervix
4. All of the above

Correct answer: 4. All of the above